Pleural reflection on left mid axillary line is in intercostal space?
1. 5
2. 6
3. 8
4. 10

Correct answer: 4. 10

Explanation: 10